All of the following are intravenous anesthetic induction agents except ?
1. Thiopentone sodium
2. Ketamine
3. Etomidate
4. Bupivacaine

Correct answer: 4. Bupivacaine

Explanation: Ans. is 'd' i.e., Bupivacaine